Highest analgesic effect is a feature of -
1. Ketamine
2. Thiopentone
3. Propofol
4. Ethomidate

Correct answer: 1. Ketamine

Explanation: Ans. is 'a' i.e., Ketamine "Ketamine is different from most other anaesthetic induction agents in that it has significant analgesic action". Remember o Amongst inhalation agents trilene (maximum), NO and ether have good analgesic action.